Which sign is seen due to thrombosis of mastoid emissary veins?
1. Battle sign
2. Gresinger sign
3. Irwin Moore Sign
4. Hennebert's sign

Correct answer: 2. Gresinger sign

Explanation: Ans. is'b'i.e., Gresinger sign (Ref Dhingra 5th/e p. 95) Griesinger's sign: - Edema over the posterior part of mastoid due to thrombosis of mastoid emissary veins.